The most common complication of supracondylar fracture is
1. Osteosarcoma
2. Genu valgum
3. Blood vessel injury
4. Malunion with gun stock deformity

Correct answer: 4. Malunion with gun stock deformity

Explanation: D i.e. Malunion with gunstock deformity